Largest amounts of prostaglandins are seen in
1. Seminal fluid
2. CSF
3. Blood
4. Urine

Correct answer: 1. Seminal fluid

Explanation: Largest amounts of prostaglandins are seen in seminal fluidEach seminal vesicle is a tortuous, loculated tube lined with a secretory epithelium that secretes a mucoid material containing an abundance of fructose, citric acid, and other nutrient substances, as well as large quantities of prostaglandins and fibrinogen.Prostaglandins are believed to aid fertilization in two ways: (1) by reacting with the female cervical mucus to make it more receptive to sperm movement and (2) by possibly causing backwards, reverse peristaltic contractions in the uterus and fallopian tubes to move the ejaculated sperm toward the ovariesGuyton 13e pg: 1020